During the course of evaluation of a case of polycythemia following investigation may be required to establish the cause EXCEPT -
1. Ervthropoietin level
2. Arterial blood gas analysis
3. Bone marrow examination
4. Serum iron profile

Correct answer: 4. Serum iron profile

Explanation: In secondary polycythemia,erythropoietin levels are raised. Bone marrow examination shows erythroid hyperplasia . Arterial blood gas analysis to look for oxygen saturation .

Reference :Harsh mohan textbook of pathologysixth edition pg no 359.